A 30 year old woman with gestational diabetes came with true labor pains at 30 weeks of gestation. The woman is given glucocorticoid therapy. Prenatal steroid therapy is given to
1. Increase blood flow to the fetal lungs
2. Increase fetal PO2
3. Shift the fetal oxyhemoglobin dissociation curve to the right
4. Increase the lecithin/sphingomyelin ratio in the amniotic fluid

Correct answer: 4. Increase the lecithin/sphingomyelin ratio in the amniotic fluid

Explanation: Cortisol induces differentiation and maturation of type II alveolar cells. During late gestation, these cells produce surfactant, which reduces surface tension in the lungs and thus allows the onset of breathing at birth. Lung maturity of the fetus can be gauged by determining the ratio of DPPC to sphingomyelin, usually written as the L (for lecithin)-to-S ratio, in amniotic fluid. A value of two or above is evidence of maturity because it reflects the major shift from sphingomyelin to DPPC synthesis that occurs in the pneumocytes at about 32 weeks of gestation.